Extranodal marginal zone (MALT) lymphomas can involve thymus in the setting of:
1. HIV
2. SLE
3. Sjogrens syndrome
4. Crohns disease

Correct answer: 3. Sjogrens syndrome

Explanation: Extranodal marginal zone (MALT) lymphomas It involve the thymus in the setting of Sjogren's syndrome or other autoimmune disorders The lymphoma cells often express IgA instead of IgM on their surface. Other tumors that involve thymus: Castleman's disease Germ cell tumors Carcinoid tumors thymoma. Ref: Harrison, E-18, Chapter e-20.